All of the following nerves have general visural fibers except
1. Olfactory
2. Oculomotor
3. Facial
4. Glossophangngeal

Correct answer: 1. Olfactory

Explanation: Olfactory nerve belongs to SSA (special somatic afferent) neural column.
Cranial nerve 1, 2 and 8 are under SSA.There nerve brings spaecial sensahirns (smell, visim, hearing and balance) from the periphery.
GVE(General Viscural Efferent) nerval column belongs to autonomic nervous system and supplies the three effectors : cardiac muscles, smooth muscle and glands.
Occulomotor nerve supplies to smooth muscles under this neural column.
Facial nerve has superior salivatory nucleus and glassopharyngeal nerve has inferior salivary nucleus smooth muscle of glands under this column.